In methyl alcohol poisoning there is CNS depression, cardiac depression and optic nerve atropy. These effect are produced due to:
1. Firmaldehyde and formic acid
2. Acetaldehyde
3. Pyridine
4. Acetic acid

Correct answer: 1. Firmaldehyde and formic acid

Explanation: Ref: Katzung 11/e p1024 Methyl alcohol (methanol) is metabolized to formaldehyde by alcohol dehydrogenase and then to formic acid by aldehyde dehydrogenase. These compounds are responsible for the toxicity. Formic acid can lead to coma and blindness also. Therefore, inhibitors of alcohol dehydrogenase,Formepizole is used for treatment of methanol overdose.